Devi, a 28 year female, has diarohea, confusion, high grade fever with bilateral pneumonitis.The diagnosis is -
1. Legionella
2. Neisseria meningitidis
3. Streptoccocos pneumoniae
4. H. influenzae

Correct answer: 1. Legionella